In order to prevent dehydration of periosteal surface of the flap, it should be irrigated frequently with:
1. Water
2. CHX
3. Saline
4. All of the above

Correct answer: 3. Saline

Explanation: To prevent dehydration of periosteal surface of the ﬂap, it should be irrigated frequently with saline (0.9% NaCl), and not with water, as it is hypotonic.